FIGO staging in endometrial Ca with paraaortic lymph node -
1. III b
2. III c
3. IV a
4. IV b

Correct answer: 2. III c

Explanation: Ans. is 'b' i.e., IIIC TNM & FIGO Classification for Endometrial CancerPrimary tumor (T)TNMFIGO stagesSurgical-pathologic findingsTX Primary' tumor cannot be assessedTO No evidence of primary tumorTis* Carcinoma in situ (preinvasive carcinoma)TIITumor confined to corpus uteriTlaIATumor limited to endometrium or invades less than one half of the myometriumTibBTumor invades one half or more of the myometriumT2IITumor invades stromal connective tissue of the cervix but does not extend beyond uterus**T3aIIATumor involves serosa and/or adnexa (direct extension or metastasis)T3bIIIBVaginal involvement (direct extension or metastasis) or parametrial involvement IIICMetastases to pelvic and/or para-aortic lymph nodes IVTumor invades bladder mucosa and/or bowel mucosa, and/or distant metastasesT4IVATumor invades bladder mucosa and/or bowel mucosa (bullous edema is not sufficient to classify a tumor as T4)*FIGO no longer includes stage 0 (Tis)**Endocervical glandular involvement should only be considered as stage 1 and no longer as stage IIRegional lymph nodes (N)TNMFIGO stagesSurgical-pathologic findingsNX Regional lymph nodes cannot be assessedN0 No regional lymph node metastasisN1IIIClRegional lymph node metastasis to pelvic lymph nodesN2IIIC2Regional lymph node metastasis to para-aortic lymph nodes, with or without positive pelvic lymph nodesDistant metastasis (M)TNMFIGO stagesSurgical-pathologic findingsM0 No distant metastasisM1IVBDistant metastasis (includes metastasis to inguinal lymph nodes, intraperitoneal disease, or lung, liver, or bone metastases; it excludes metastasis to para-aortic lymph nodes, vagina, pelvic serosa, or adnexa)